Lung carcinoma most common associated with:
1. Asbestosis
2. Silicosis
3. Byssinosis
4. Beryllium

Correct answer: 1. Asbestosis

Explanation: Remember some important points.
 
Silicosis—currently the most prevalent chronicoccupational disease in the world
 
Silicosis is associated with an increased susceptibility to Tuberculosis. The radio logical feature—EGG SHELL calcification in the hilarlymphnodes.
 
Berylliosis cause an interstitial granulomatousdisease similar to Sarcoidosis.
 
The most dangerous particles to cause Pneumoconiosis from 1 to 5 micrometer in diameter because they may reach in the terminal small airways, air sacs and settle in their lining.
 
Cotton dust is associated with Byssinosis.
 
Sugarcane dust is associated with Bagassois